True statement about glycolysis is:
1. Occurs in mitochondria
2. Complete breakdown of glucose
3. Conversion of glucose to 3C units
4. 3 ATPs are used in anaerobic pathway

Correct answer: 3. Conversion of glucose to 3C units

Explanation: Option 1. Glycolysis occur in cytosol.
Option 2. Complete breakdown of glucose happens when pyruvate formed by glycolysis undergo pyruvate dehydrogenase reaction, followed by TCA Cycle.
Option 4. In anaerobic glycolysis.

Number of ATPs produced is 4.
Number of ATPs used is 2.
Net ATP yield by anaerobic glycolysis is 2.